Specifivity of a test refers to its ability to detect
1. True positive
2. True negative
3. False negative
4. False positive

Correct answer: 2. True negative

Explanation: specificity is defined as the ability of a test to identify those who do not have the disease.
That is true negatives.